Which one of the following drug is used in the treatment of Toxoplasmosis?
1. Aensenuate
2. Ciprofloxacin
3. Thiacetazone
4. Pyrimethamine

Correct answer: 4. Pyrimethamine

Explanation: Pyrimethamine is a folate analogue that competitively inhibits parasite dihydrofolate reductase. Along with sulfonamides, at high doses pyrimethamine is effective in the treatment of Toxoplasma gondii infections in immunocompromised patients, such as HIV-positive individuals. It is commonly used as an antimalarial drug for both treatment and prevention of malaria. Ref: Essentials of Medical Pharmacology, 5th Edition, Page 745; Principles of Pharmacology: The Pathophysiologic Basis of Drug Therapy By David E. Golan, Page 638